Smoky stool is seen in which poisoning?
1. Mercury
2. Phosphorous
3. Iodine
4. Lead

Correct answer: 2. Phosphorous

Explanation: Ans. (b) PhosphorousRef. Parikh 6/e, p 9.2, Textbook of forensic medicine and Toxicology by Nagesh kumar rao, p 371, Modern medical toxicology byV.V. Pillary, 3/e, p 61